True about free water clearance is
1. Regulated by ADH
2. Regulated by aldosterone
3. Increased by furosemide
4. None of the above

Correct answer: 1. Regulated by ADH

Explanation: ADH or Vasopressin - hormone secreted by the posterior pituitary gland and also by nerve endings in the hypothalamus; affects blood pressure by stimulating capillary muscles and reduces urine flow by affecting reabsorption of water by kidney tubules Ref: Ganong's review of medical physiology; 24th edition; page no: 690